Which is a minor criteria for diagnosis of RF according to modified Jones criteria?
1. ASO titre
2. Past History of Rheumatic Fever
3. Fever
4. Subcutaneous nodules

Correct answer: 3. Fever

Explanation: Answer is C (Fever) The Jones Criteria Jones criteria were first proposed in 1944. The most recent modification of the Jones criteria was published in 1992 and these were termed updated Jones criteria. Updated Jones Criteria for Rheumatic fever Major Criteria Minor Criteria * Carditis * Fever (clinical) * Migratory polyarthritis * Arthralgia (clinical) * Sydenham's chorea * Elevated acute phase reactions (LAB) * Subcutaneous nodules * Prolonged PR internal (LAB / ECG) * Erythema marginatinn Essential Criteria Supporting evidence of recent group A streptococcal infection. Positive throat culture or rapid antigen detection test and /or Elevated or increasing streptococcal antibody test. To fulfill the Jones Criteria, Two major criteria or One major criteria And Two minor criteria PLUS Essential criteria are required.